Woodworkers are associated with ------- sinus Carcinoma.
1. Adenocarcinoma
2. Squamous cell Carcinoma
3. Anaplastic Carcinoma
4. Melanoma

Correct answer: 1. Adenocarcinoma

Explanation: Workers of the furniture industry( woodworkers) develop adenocarcinoma of the ethmoids and upper nasal cavity, while those engaged in nickel refining get squamous cell anaplastic carcinoma. (Ref: Textbook of diseases of ENT, PL Dhingra, 7th edition, pg no. 231)